Genetic reassortment is seen with -
1. Astrovirus
2. Herpes virus
3. Rotavirus
4. Hepadnavirus

Correct answer: 3. Rotavirus